Sodium content of ReSoMal is
1. 90 mmol/lit
2. 60 mmol/lit
3. 45 mmol/lit
4. 30 mmol/lit

Correct answer: 3. 45 mmol/lit

Explanation: Fish are naturally low in sodium and even those species with the highest sodium levels contain less than 100 milligrams per 3 ounce cooked portion. Most shellfish generally have more sodium, ranging from 100 to 500 milligrams per 3 ounce cooked serving. Reference: GHAI Essential pediatrics, 8th edition